Which of the following is meant by the word 'malpraxis'?
1. Parental negligence
2. Professional negligence
3. Transplantation of human organs
4. Protection of human rights

Correct answer: 2. Professional negligence

Explanation: Professional negligence or malpraxis is defined as absence of reasonable care and skill, or wilful negligence of a medical practitioner in the treatment of a patient, which causes bodily injury or death of the patient. Negligence is defined as doing something that one is not supposed to do , or failing to do something that one is supposed to do. Ref: The Essentials of Forensic Medicine and Toxicology by K S Narayan Reddy, 27th edition, Page 30.